The CSF findings in TB meningitis include –
1. High sugar + low protein
2. Low sugar + high protein and Lymphocytosis
3. High sugar + high chloride
4. Low sugar + high protein and Lymphopenia

Correct answer: 2. Low sugar + high protein and Lymphocytosis

Explanation: CSF in T meningitis 

Low sugar                   o Predominant cells --> Lymphocytes           o Opening pressure is elevated
High protein                o Very low chloride